Most common malignancy seen in AIDS patients is:
1. Non-Hodgkin's lymphoma
2. Kaposi's sarcoma
3. Cancer nasopharynx
4. Hairy leukoplakia

Correct answer: 2. Kaposi's sarcoma

Explanation: Kaposi's sarcoma is the most common malignancy seen in AIDS patients. It involves skin or the mucous membrane. Association with herpes virus 8 has been seen in the causation of Kaposi's sarcoma in AIDS patients.Non-Hodgkin's lymphoma is the second-most common malignancy seen in HIV patients.Hairy leukoplakia in AIDS patients is caused by Ebstein-Barr virus. It presents as white patches on the lateral border of tongue and may be an early manifestation of disease.